Cause of convulsion in eclampsia:
1. Cerebral anoxia due to arterial spasm
2. Hypovolemia
3. Hypocalcemia
4. Shock

Correct answer: 1. Cerebral anoxia due to arterial spasm

Explanation: Eclampsia may develop antepartum,intrapartum or postpartum.It is more common in the last trimester.It may be asymptomatic or preceded by the classical symptoms of prerclampsia.Eclampsia may be associated with the neurological deficit due to cerebral vasospasm and oedema but it usually resolves. TEXT BOOK OF OBSTETRICS,Sheila Balakrishnan,2nd edition,page no.266